Disadvantage of case control study when compared to cohort study:
1. Easy to carry out
2. Rapid and inexpensive
3. Cannot measure cause to effect
4. Useful in rare diseases

Correct answer: 3. Cannot measure cause to effect

Explanation: Ans. (c) Cannot measure cause to effectRef: K. Park 23rd ed. / 75-76* "Cause to effect" study is done only in Cohort study. In case- control study, study is done from "effect to cause".Comparison Between Cohort Study and Case Control StudyCohort StudyCase Control study* Time consuming* Less time consuming* Expensive* Relatively cheaper* Chance of loss of follow up is high* No loss of follow up* NOT useful for rare diseases* Useful for rare diseases* It has ethical issues* NO ethical issues* Calculate incidence and relative risk (more accurate)* Calculate Odd's ratio* Cohort study is also known as:# Prospective study# Cause to effect study# Exposure to outcome study# Incidence study# Follow up study* Case control study is also known as:# Retrospective study# Effect to cause study# Outcome to exposure study# Case reference study